Which of the following drug is given for acute attack of asthma?
1. Zafirlukast
2. Nedocromil
3. Prednisolone
4. Salbutamol

Correct answer: 4. Salbutamol

Explanation: Ans. D. SalbutamolSalbutamol, terbutaline like drugs are the beta-2 agonist which are given by inhalational route to abort the attack of acute asthma, they are short acting so they can't be given in case of prophylaxis. Muscle tremor and tachycardia are the most common side effects seen with this drug.